Body temperature is maintained by:
1. Postural position
2. Covering of the body
3. Peripheral vasoconstriction
4. All of the above

Correct answer: 4. All of the above